Separation of proteins based on size is done by
1. Affinity chromatography
2. SDS-Polyacrylamide gel electrophoresis
3. Ion exchange chromatography
4. High performance liquid chromatography

Correct answer: 2. SDS-Polyacrylamide gel electrophoresis